Which one of the following is the most common location of hypertensive intracranial hemorrhage occurring in the brain?
1. Pons
2. Medulla oblongata
3. Putamen/external capsule
4. Cerebral cortex

Correct answer: 3. Putamen/external capsule

Explanation: Hypertensive intraparenchymal hemorrhage usually results from spontaneous rupture of a small penetrating artery deep in the brain. The most common sites are the basal ganglia (especially the putamen), thalamus, cerebellum, and pons. The two most common sites of hypertensive hemorrhage are the putamen and the thalamus, which are separated by the posterior limb of the internal capsule. Most hypertensive intraparenchymal hemorrhages develop over 30-90 minutes, whereas those associated with anticoagulant therapy evolve in 24-48 hours. Within 48 hours macrophages begins to phagocytize the hemorrhage and after 1-6 months, the hemorrhage resolves into a slit like orange cavity lined with glial scar and hemosiderin-laden macrophages. Ref: Harrison's Internal Medicine, 18th Edition, Chapter 370